A shift of posture from supine to upright posture is associated with cardiovascular adjustments. Which of the following is NOT true in this context
1. Rise in central venous pressure
2. Rise in heart rate
3. Decrease in cardiac output
4. Decrease in stroke volume

Correct answer: 1. Rise in central venous pressure

Explanation: Changes when position altered from standing/sitting to lying.
Immediate: The stroke volume, BP and cardiac output increases due to increased venous return and the increased CVP. Late: This stimulates the baroreceptors and the result is vasodilation, decreased heart rate, decreased cardiac contraction, decreased cardiac output and finally a decreased or normal BP.
Changes when position altered from lying to standing/sitting.
Immediate: The stroke volume, BP and cardiac output decreases due to decreased venous return and the decreased CVP. Late: This causes the baroreceptors to discharge less and the result is vasoconstriction, increased heart rate, increased cardiac contraction, increased cardiac output and finally an increased or normal BP.